A gravida 3 with a history of 2 previous 2nd trimester abortions presents at 22 weeks of gestation with funneling of the cervix. Most appropriate management would be:
1. Administer Dinoprostone and bed rest
2. Administer mifepristone and bed rest
3. Apply Fothergill's stitch
4. Apply McDonald's stitch

Correct answer: 4. Apply McDonald's stitch

Explanation: Previous history of mid trimester abortions and funneling of cervix are both suggestive of incompetent cervix McDonald's stitch is used for cervical encerclage, generally applied after 12 completed pregnancy weeks and removed at or beyond 37 weeks Dinoprostone is mainly used for induction of labour. Mifepristone which is an anti progestin is use for termination of pregnancy. Fothergill's stitch used for repair of cervical enlargement and is part of management of UTERINE prolapse in younger parous women who want to save their uterus